Which of the following is not a disorder of form of thought?
1. Derailment
2. Tangentiality
3. Thought block
4. Loosening of association

Correct answer: 3. Thought block

Explanation: Ans. c. Thought block (Ref: Kaplan Synopsis 10/e p234; CDTP 2nd/106, 274, 749)Thought block is a disorder of stream, not a disorder of form."ln format thought disorder, the structure or form of thought is disordered. It includes preservation, flight of ideas (clang association, puns, rhymes), loosening of associations, derailment, vorbeireden, verbigeration (word salad); tangentiality, transitory thinking, substitution, omission, rivelling, desultory thinking, neologism, poverty of speech and poverty of content. Whereas thought block is mainly a disorder of flow/stream of thoughts."Thought DisordersDisorders of form (Form is the structure of thought)Disorders of stream (Flow of thought)Disorders of Possession (Control of thought)Disorders of content (Themes)* Loosening of association* Derailment* Tangentiality* Substitution* Omission* Transitory thinking* Driveling* Desultory thinking* Neologism, poverty of speech* Poverty of content of speech, word salad* Flight of ideas* Thought block* Circumstantiality* Prolixity* Thought retardation* Preservation* Obsessions and compulsion* Thought insertion* Thought withdrawal* Thought broadcast* Delusion of reference* Persecution, misinterpretation* Grandiosity* Guilt* Nihilism* Depressive cognitions* Overvalued ideas